Most appropriate test for child psychologist to evaluate the intellectual ability of a 3 year old is?
1. Stanford Binet scale
2. Denver development scale
3. Alexander's pass along test
4. Rorschach inkblot test

Correct answer: 1. Stanford Binet scale

Explanation: Ans. A. Stanford Binet scaleStanford-Binet Intelligence ScaleThe Stanford-Binet Intelligence Scale is an individually administered standardized test that measures intelligence and cognitive abilities in children and adults, from age two through mature adulthood.The Stanford-Binet Intelligence Scale is now in its fifth edition (SB5) and was released in 2003. It is a cognitive ability and intelligence test that is used to diagnose developmental or intellectual deficiencies in young children.